True about E. coil is -
1. Sereny test is done to diagnose Enterotoxigenic E.coli (ETEC)
2. Enteropathogenic E. coli (EPEC) are also enteroinvasive
3. UTI is caused by single serotype at a time usually
4. E. coli is the most common causative organism to infect burn wounds

Correct answer: 3. UTI is caused by single serotype at a time usually